Phytonadione is used in treatment of which toxicity-
1. Heparin
2. Oral anticoagulant
3. Digoxin
4. Streptokinase

Correct answer: 2. Oral anticoagulant

Explanation: Ans. is 'b' i.e., Oral anticoagulant Vit K1 (Phytonadione) is the preparation of choice for overdose of oral anticoagulants (Dicumarol).Remembero Specific antidote for oral anticoagulants - Vit K1o Specific antidote for heparin - Protamineo Specific antidote for fibrinolytics (e.g. streptokinase) - antifibrinolytics (epsilone amino-caproic acid, Tranaexaemic acid, Aprotinin).